Iron is actively absorbed in
1. Stomach
2. Duodenum and proximal jejunum
3. Large intestine
4. Ileum

Correct answer: 2. Duodenum and proximal jejunum

Explanation: Active absorption of iron occurs in duodenum & proximal jejunum. In stomach absorption of alcohol (20%) & drugs like aspirin takes place. In large intestine, absorption of acids and bases, water, remainder of sodium (Na) and potassium (K) i.e. remaining because not already absorbed in the small intestine takes place. The function of ileum is mainly to absorb VitaminB12 & bile salts. Ref: Guyton,11e